Vaccine contraindicated during Pregnancy is
1. Hepatitis A
2. Hepatitis B
3. Rabies
4. Varicella

Correct answer: 4. Varicella

Explanation: - All live vaccines (except Yellow fever vaccine) are contraindicated in pregnancy. - Pregnancy is a immunocompromised state. Hence, CI for live attenuated vaccines, unless the risk of infection exceeds risk of harm to fetus. Classification of vaccines: Live vaccines BCG, OPV, Measles, Mumps, Rubella, Yellow fever vaccine, Varicella, Typhoral, JE live vaccine, H1N1 live, Rotaviral vaccine Killed vaccines Pertussis , Rabies vaccine, IPV, Hep-A vaccine, Meningococcal vaccine, KFD, JE killed vaccine , H1N1 killed vaccine Toxoids Diphtheria, Tetanus Proteinaceous vaccines Acellular pertussis, Anthrax Polysaccharide vaccines Typhim-vi, Pneumococcal vaccine, Meningococcal vaccine, Hib Glycoconjugate vaccines Pneumococcal vaccine, Meningococcal vaccine, Hib Combination vaccines MMR, MR, DPT, Pentavalent Recombinant vaccines Hepatitis -B , HPV